Which of the following is the most common cause of fracture of hyoid?
1. Hanging
2. Throttling
3. Strangulation
4. Choking

Correct answer: 2. Throttling

Explanation: Fracture of hyoid bone with inward driving of its distal fragments are seen in 30-50% cases of throttling. Throttling refers to the asphyxia produced by compression of the neck by human hands. In this, death occurs mainly due to occlusion of carotid arteries.